Beheaded Scottish terrier sign is seen in:
1. Spondylosis
2. Spondylolisthesis
3. Osteo porosis
4. Osteogenesis imperfecta

Correct answer: 2. Spondylolisthesis

Explanation: Ans: b (Spondylolisthesis) Ref:Apley's OrthopaedicsScottish terrier sign is seen in spondylolysis and beheaded Scottish terrier sign in spondylolisthesis.